Immunoglobulin involved in Type I hypersensitivity reaction:
1. IgA
2. IgM
3. IgE
4. IgG

Correct answer: 3. IgE

Explanation: Ans. C i.e. IgE Immunoglobulins First antibody to be synthesized after primary immunization: IgM First antibody to be synthesized after exposure to new antigen: IgM First antibody to be synthesized by fetus: IgM Antibody which fixes complement: IgM Only immunoglobulin that crosses placenta: IgG Immunoglobulin found in mucous secretions (saliva, tears, colostrum etc.): IgA/secretory antibody Immunoglobulin elevated in atopic diseases (asthma, hay fever etc.): IgE Immunoglobulin mediating reaginic hypersensitivity: IgE